Mesalamine is used in:
1. Ulcerative colitis
2. Diabetes
3. Erectile dysfunction
4. Tinea corporis

Correct answer: 1. Ulcerative colitis

Explanation: Ref: Katzung 11th p.I087Explanation:Mesalamine is an aminosalicylate used in the treatment of inflammatory bowel diseasesDrugs that contain 5-aminosalicylic acid (5-ASA) have been used successfully for decades in the treatment of inflammatory bowel diseases. 5- ASA differs from salicylic acid only by the addition of an amino group at the 5 (meta) position.Aminosalicylates are believed to work topically (not systemically) in areas of diseased gastrointestinal mucosa. Up to 80% of unformulated, aqueous 5-ASA is absorbed from the small intestine and does not reach the distal small bowel or colon in appreciable quantities.To overcome the rapid absorption of 5-ASA from the proximal small intestine, a number of formulations have been designed to deliver 5- ASA to various distal segments of the small bowel or the colon. These include sulfasalazine, olsalazine, balsalazide, and various forms of mesalamine.Pentasa is a mesalamine formulation that contains timed-release microgranules that release 5-ASA throughout the small intestineAsacol has 5-ASA coated in a pH-sensitive resin that dissolves at pH 7 (the pH of the distal ileum and proximal colon).Lialda also uses a pH-dependent resin that encases a multimatrix core.On dissolution of the pH-sensitive resin in the colon, water slowly penetrates its hydrophilic and lipophilic core. leading to slow release of mesalamine throughout the colon.